Dracanculosis elimination program, which of the following activities is not evaluated to know the extent of goal achievement ?
1. Provision of protected water sources
2. Health education
3. Chemical disinfection of water sources
4. Registration of new cases

Correct answer: 4. Registration of new cases

Explanation: Ans. is 'd' i.e.,Registration of new casesThe extent to which Dracanculosis Medinensis Elimination program goals are achieved can be determind by calculating the the percentage of planned activities that are actually carried out. A list of these activities is as follows:Provision of protected water sources. Health education Chemical disinfection of the water sourcesTreatment of patientsTraining